Following are parts of the fallopian tube from uterus to the ovary except
1. Ampulla
2. Isthmus
3. Infundibulum
4. Fundus

Correct answer: 4. Fundus

Explanation: Its different segments are (lateral to medial): the infundibulum with its associated fimbriae near the ovary, the ampullary region region that represents the major portion of the lateral tube, the isthumas which is the narrower part of the tube that links to the uterus, and the interstitial (also known as intramural) part that transverses the uterine musculature. The ostium is the point where the tubal canal meets the peritoneal cavity, while the uterine opening of the Fallopian tube is the entrance into the uterine cavity, the uterotubal junction. ref - BDC 6e vol2 pg385